Vegabond disease -
1. Louse
2. Mite
3. Tick
4. Black fly

Correct answer: 1. Louse

Explanation: Lice are the vectors for the following diseases (Vagabond diseases) Epidemic typhus Relapsing fever Trench fever Dermatitis Park's Textbook of Preventive and Social Medicine, 25th edition, Page No. 837